Micronodular cirrhosis is seen in all except ?
1. Chronic hepatitis B
2. Alcoholic cirrhosis
3. Haemochromatosis
4. Chronic cirrhosis secondary to biliary stasis

Correct answer: 1. Chronic hepatitis B

Explanation: Ans. is 'a' i.e., Chronic hepatitis B o After chronic hepatitis 'B' (Post necrotic cirrhosis), macronodular cirrhosis develops.